Which of the following induce Apoptosis in a cell
1. Oleic acid
2. Isoprenoids
3. Myristic acid
4. Glucocorticoids

Correct answer: 4. Glucocorticoids

Explanation: Ref Underwood's pathology 6/e p80 Glucocorticoids induce Apoptosis while sex steroids inhibit apoptosis